Ascaris lumbricoides causes deficiency of:
1. Iron
2. Vitamin B 12
3. Folic acid
4. Vitamin A

Correct answer: 4. Vitamin A

Explanation: Vitamin A